Which of the following wax is not ﬂowable at  mouth temperature?
1. Iowa wax
2. Korecta wax No.6
3. Korecta wax No.4
4. Adaptol wax

Correct answer: 2. Korecta wax No.6

Explanation: Fluid wax: These are waxes that flow at mouth temperature and are firm at room temperature. Commonly used waxes are Iowa wax (white) by Dr.Smith, Korecta wax no:4 (orange) by Dr.O.C. Applegate, Adaptol wax (green) by Nathan.G.Kaye.
Ref: Textbook of prosthodontics by Nallaswamy Ed 2nd  Pg 87